Recommended Larvicides for control of Malaria includes all of the following except -
1. Abate
2. Pyrethrium
3. Fenthian
4. Copper Acetoarsenite

Correct answer: 2. Pyrethrium

Explanation: Pyrethrum extracts are space spray which comes under anti-adult measures. Abate and fenthion are synthetic anti-larval insecticides. Paris green (Copper acetoarsenite) is used as chemical control of larvae. Park's Textbook of Preventive and Social Medicine, 25th Edition, Pg 833